Which of the following is a long acting insulin that never attains a peak concentration in plasma?
1. Insulin lispro
2. Insulin aspart
3. Insulin glulisine
4. Insulin glargine

Correct answer: 4. Insulin glargine

Explanation: (Ref: Katzung 14th ed. P 755)Insulin glargine is a soluble, "peakless" (i.e. having broad concentration plateau), long acting insulin analogue.Onset: 1-1.5 hours. Duration of action: 11-24 hours.Summary of bioavailability characteristics of the insulinsInsulin preparationsOnset of actionPeak actionEffective durationInsulins lispro, aspart, glulisine5-15 minutes1-1.5 hours3-4 hoursHuman regular30-60 minutes2 hours6-8 hoursTechnosphere inhaled insulin5-15 minutes1 hour3 hoursHuman NPH2-4 hoursFlat 24 hoursInsulin detemir0.5-1 hoursFlat17 hoursInsulin degludec0.5-1.5 hoursFlat>42 hours